Human Development index(HDI) value lies between
1. 0 to +1
2. -1 to +1
3. 0 to -1
4. 0 to +2

Correct answer: 1. 0 to +1

Explanation: HDI lies between 0 to +1.
HDI of india is 0.64.